One of the following is not penicillinase susceptible?
1. Amoxicillin
2. Penicillin G
3. Pieperacillin
4. Cloxacillin

Correct answer: 4. Cloxacillin

Explanation: Penicillinase-resistant penicillins Methicillin, Cloxacillin. ESSENTIALS OF MEDICAL PHARMACOLOGY page no.721